The most common accessory pathways leading to WPW syndrome is
1. Left free wall
2. Posteroseptal
3. Right free wall
4. Anteroseptal

Correct answer: 1. Left free wall

Explanation: They occur across either an AV valve annulus or the septum, most frequently between the left atrium and free wall of the left ventricle, followed by posteroseptal, right free wall, and anteroseptal locations. If the AP conducts from atrium to ventricle (antegrade) with a shorter conduction time than the AV node and His bundle, then the ventricles are preexcited during sinus rhythm, and the ECG shows a short P-R interval (<0.12 s), Ref Harrison 20th edition pg 1432